A man dies after 5 days of suffering a myocardial infarction. What will the heart biopsy show?
1. Liquifactive necrosis
2. Caseous necrosis
3. Coagulative necrosis
4. Fibrinoid necrosis

Correct answer: 3. Coagulative necrosis

Explanation: Coagulative necrosis is a form of necrosis in which the underlying tissue architecture is preserved for at least several days. The affected tissues take on a firm texture. Presumably the injury denatures not only structural proteins but also enzymes, thereby blocking the proteolysis of the dead cells; as a result, eosinophilic, anucleate cells may persist for days or weeks. Coagulative necrosis is characteristic of infarcts (areas of ischemic necrosis) in all of the solid organs except the brain.( Robbins Basic Pathology, 9th edition, page 10 )